Quinsy is also known as?
1. Peritosillar abscess
2. Retropharyngeal abscess
3. Parapharyngeal abscess
4. Paraepiglottic abscess

Correct answer: 1. Peritosillar abscess

Explanation: ANSWER: (A) Peritosillar abscessREF: Dhingra 4th ed p. 245Quinsy is a collection of pus in the peritonsillar space which lies between the capsule of tonsil and the superior constrictor muscle.